Body mass index of a person whose weight is 89 kg and height is 172 cms is:
1. 27
2. 30
3. 33
4. 36

Correct answer: 2. 30

Explanation: Body mass index : Is an indicator of obesity: where weight is in kilograms and height is in metres . BMI = weight (kg) /height (m2) = 89/1.72x1.72 = 30